Thoracic duct does NOT drain:
1. Right upper part of body
2. Left upper part of body
3. Right lower part of body
4. Left lower part of body

Correct answer: 1. Right upper part of body

Explanation: Right upper quadrant of the body drains the lymphatics into the right lymphatic duct and rest of the body drains into thoracic duct Thoracic duct is continuation of cysterna chyli as it pass through aortic hiatus begin at lower border of T12 . At T5(angle of louis) it crosses to left side and drains at left Jugulo-subclavian venous angle at C7 .